Which of the following clinical syndromes mentioned below is not an outcome following an exposure to Organophosphates
1. Intermediate syndrome
2. Subacute toxicity
3. Chronic toxicity
4. OPIDN

Correct answer: 2. Subacute toxicity

Explanation: There is no Definte clinical syndromes associated with Subacute toxicity in Organophosphate poisoning Four clinical syndromes are identified with respect to organophosphate exposure which includes Acute poisoning Intermediate syndrome Chronic toxicity Organophosphate induced delayed neuropathy ***Acute poisoning -this results in CNS, muscarinic, nicotinic, and somatic manifestations ***Intermediate syndrome -usullay observed 1-5 days of OP exposure,it is characterized by paralysis of flexors, muscles innervated by cranial nerves, proximal limb muscles, respiratory muscles ***Chronic toxicity-Chronic toxicity is seen in agricultural workers with daily ,manifested as symmetrical sensorimotor axonopathy ***Organophosphate induced delayed neuropathy -this is characterized by congnitve dysfunction,extrapyramidal symptoms,peripheral neuropathy Tintinalli's Emergency medicine ,8th edition page 1319